Commonest cause of acute folliculitis (hair follicle infection) is
1. Staphylococcus aureus
2. Beta hemolytic streptococcus
3. Propionibacterium acnes
4. Streptococcus viridans

Correct answer: 1. Staphylococcus aureus

Explanation: Acute folliculitis are of two types: superficial and deep. The most common causative organism is Staphylococcus aureus. Superficial folliculitis is also caused by Pseudomonas aeruginosa.Reference : page 41 IADVL's Concise Textbook of Dermatology